During the next 3 months, the wound heals with formation of a linear scar which of the following nutritional factors is required for proper collagen assembly in the scar tissue of the 25 year old woman sustains a deep, open laceration over her right forearm in a motorcycle accident
1. Folic acid
2. Thiamine
3. Vitamin A
4. Vitamin C

Correct answer: 4. Vitamin C

Explanation: Vitamin C (asccorbic acid) is a powerfull biologic reducing agent that is necessary for the hydroxylation of proline residues in collagen. Most of the clinical features associated with vitamin C deficiency (Scurvy) are carsed by the formation of an abnormal collagen that lacks tensile strength. Patients with vitamin C deficiency exhibit poor wound healing. Dehiscense (Bursting open) of previously healed wounds may also occur. None of the other choices are required for collagen assembly.
Diagnosis : Wound healing.